MEN type I includes tumors of all except -
1. Parathyroid
2. Pituitary
3. Pancreas
4. Medullary carcinoma of thyroid

Correct answer: 4. Medullary carcinoma of thyroid